Subtrate level phosphorylation occurs at -
1. Pyruvate kinase
2. Glucokinase
3. Glucose-6-phosphatase
4. a-ketoglutarate dehydrogenase

Correct answer: 1. Pyruvate kinase

Explanation: Ans. is 'a' i.e., Pyruvate kinase o There are 2 types of phosphorylation of ADP to ATP.1) Substrate level phosphorylation2) Oxidative phosphorylation at respiratory chain levelo Substrate level phosphorylation is the production of ATP at the substrate level without participation of ETC.o It occurs in TCA cycle and glycolysis. Succinate thiokinase Citric Acid cydeSuccinyl Co-A-------------------Succinate1. 1, 3-BiphosphoglyceratePhosphoglycerate kinase Glycolys-------------------3-Phosphoglycerate2. Phosphoenolpyruvate Pyruvate kinase-------------------Pyruvate